In a village of 5000 population, 50 persons suffered from cholera and 10 persons died. What will be the case fatality ratio?
1. 0.20%
2. 1.00%
3. 5.00%
4. 20.00%

Correct answer: 4. 20.00%

Explanation: .case fatality ratio is calculated as the total number of deaths due to a particular disease divided by total number of cases due to the same disease ,whol;e multiplied by 100 that is 10/50 *100 equals 20% .